Anaphylactic shock is caused by which type of hyper sensitivity reaction?
1. I
2. II
3. III
4. IV

Correct answer: 1. I

Explanation: Ans. is 'a' i.e., IAnaphylactic shock is caused by type I Hypersensitivity reaction.ShockShock is the clinical syndrome that results from poor tissue perfusion.In this condition tissues in the body do not receive enough oxygen and nutrients to allow the cells to function.This ultimately leads to cellular death and may progress to organ failure and finally, to whole body failure and death.